Efferent arteriole constriction causes
1. Increased GFR
2. Decreased GFR Increases
3. GFR initially then decreases
4. Decreased GFR initially then increase

Correct answer: 3. GFR initially then decreases

Explanation: The efferent arterioles are blood vessels that are part of the urinary tract of organisms. The efferent arterioles form from a convergence of the capillaries of the glomerulus. They play an important role in maintaining the glomerular filtration rate despite fluctuations in blood pressure.Ref: Ganong's review of medical physiology; 24th edition; page no; 679